Lambert Eaton syndrome is associated with
1. Thymoma
2. Oat cell syndrome
3. Myasthenia gravis
4. Adenocarcinoma of lung

Correct answer: 2. Oat cell syndrome

Explanation: Lambert-Eaton myasthenic syndrome (LEMS) is a rare autoimmune disorder that is characterized by muscle weakness of the limbs. Lambert-Eaton myasthenic syndrome is caused by autoantibodies to the presynaptic membrane. Myasthenia gravis is caused by autoantibodies to the postsynaptic acetylcholine receptors.Around 60% of those with LEMS have an underlying malignancy, most commonly small cell lung cancer Ref Harrison20th edition pg 2345